All are TRUE about amyloidosis, EXCEPT:
1. It is an extracellular deposit
2. Insoluble polymeric protein fibrils
3. Amyloid fibrils share a common pleated structure
4. The term amyloid was coined by Lister

Correct answer: 4. The term amyloid was coined by Lister

Explanation: Amyloidosis is the extracellular deposition of insoluble polymeric protein fibrils. This disorder is due to misfolding of proteins. Eg: Alzheimer's disease and other neurodegenerative diseases, Transmissible prion diseases, Certain of the cystic fibrosis mutations. Amyloid fibrils share a common beta-pleated sheet structural conformation. It has unique staining properties. The term amyloid was coined by Rudolf Virchow. Ref: Harrison, Edition-18, Page 942